All of the following are true regarding congenital syphilis except
1. Rhinitis is an early sign
2. Notched incisors
3. Conductive hearing loss
4. Linear scars at the angle of mouth

Correct answer: 3. Conductive hearing loss

Explanation: Sensory neural hearing loss due to 8th nerve involvement is seen, not conductive hearing loss. Linear scars at angle of mouth is called Rhagades.